Calibre of a firearm is?
1. Distance between a land and groove
2. Distance between two diagonally opposite lands
3. Distance between two diagonally opposite grooves
4. None

Correct answer: 2. Distance between two diagonally opposite lands

Explanation: Distance between two diagonally opposite lands REF: Parikh 6th edition page 4.26 Caliber technicically means diameter of the inside of the bore (land to land) in 1/100' of an inch. Thus, caliber 22 means 22/100 inch= 0.22